Which of the following is NOT a characteristic of facilitated diffusion?
1. Inhibition
2. Saturability
3. Specificity
4. Uphill transport

Correct answer: 4. Uphill transport

Explanation: Facilitated diffusion is a carrier-mediated transport. Carrier can get saturated as the concentration of the transport molecule reach the "transport maximum". Carrier can be inhibited by specific ligands (or poisons). Also, carrier exhibits specificity. Substance will be transported from high to low concentration - the downhill transport.